Which is not true of cardiopulmonary resuscitation (CPR)?
1. Closed chest massage is as effective as open chest massage.
2. The success rate for out-of-hospital resuscitation may be as high as 30% to 60%.
3. The most common cause of sudden death is ischemic heart disease.
4. Standard chest massage generally provides less than 15% of normal coronary and cerebral blood flow.

Correct answer: 1. Closed chest massage is as effective as open chest massage.

Explanation: Closed chest massage is not as effective as open-chest massage in normalizing blood pressure or perfusion of vital organs, and closed chest massage does generally deliver 5% to 15% of normal coronary and cerebral blood flow. The success rate for out-of-hospital resuscitation has been as high as 30% to 60% when communities are prepared to institute CPR early after a cardiac arrest. Ischemic heart disease is the most common cause of sudden death.